If both the ala of the sacral bone are absent, pelvis is called as:
1. Naegele pelvis
2. Robert pelvis
3. Triradiate pelvis
4. Rachitic pelvis

Correct answer: 2. Robert pelvis

Explanation: Ans. is b, i.e. Robert pelvisRef. Dutta Obs. 9/e, p 326If one ala is absent-pelvis is called Naegle's pelvis.If both ala of succumb are absent-pelvis is called as Robert's pelvis.Both are varieties of contracted pelvis and in both cesarean section is done.